Meckel's diverticulum is a remnant of
1. Stenson's duct
2. Wolffian duct
3. Mullerian duct
4. Vitellointestinal duct

Correct answer: 4. Vitellointestinal duct

Explanation: A Meckel's Diverticulum is a vestigial remnant of omphalomesenteric or vitellointestinal duct. As a congenital anomaly, it is a true diverticulum that includes all three coat of small intestine. ref - BDC 6e vol2 pg 265